Which is concerned with cell mediated immunity?
1. B - Lymphocytes
2. T - Lymphocytes
3. Eosinophils
4. Monocytes

Correct answer: 2. T - Lymphocytes

Explanation: Ans. is 'b' i.e., T - Lymphocytes (Ref: Ananthanarayan, 9th/e, p. 152)* Cellular (Cell mediated immunity) - T lymphocytes - defense against intracellular microbes.* Humoral immunity - B lymphocytes produces antibodies and convert into plasma cell which are responsible of immunogenic memory defense against extracellular microbes and their toxins.